A 60 year male presented with the feature of coloured halos was examined with fincham's test, which revealed that halos split and then reunion, Diagnosis is:
1. Acute congestive glaucoma
2. Open angle glaucoma
3. Senile immature cataract
4. Mucopurulant conjunctivitis

Correct answer: 3. Senile immature cataract

Explanation: C i.e. Senile immature cataract